A 50 year old male presents with cicatricial entopion of uper and lower eyelid. On eversion of upper eyelid, linear conjunctival scars - Arlt line are seen. What is the diagnosis?
1. Trachoma
2. Sprisng catarrah
3. Ligneous conjunctivitis
4. Parinaud oculoglandular syndrome

Correct answer: 1. Trachoma

Explanation: Arlt line is a feature of trachoma. Ref: Kanski 8th/e Chap.5, p.138